Fear of "places from where escape is difficult" is called ______
1. Claustrophobia
2. Aerophobia
3. Agoraphobia
4. Ailurophobia

Correct answer: 3. Agoraphobia

Explanation: Agoraphobia fear or avoidance of places from which escape would be difficult in the event of panic symptoms (crowds, public places, being outside alone, public transportation). It is more common in women. It leads to severe restrictions on the individual's travel and daily routine.